The most important function of epithelioid cells in tuberculosis is:
1. Phagocytosis
2. Secretory
3. Antigenic
4. Healing

Correct answer: 2. Secretory

Explanation: Ans. (b) Secretory(Ref: Immunology, 8th edition, by David Male; pg 427)Epithelioid cells are transformed macrophages that have lost their phagocytic function but retained their secretory activity.Epithelioid cells contain numerous endoplasmic reticulum & golgi bodies.They secrete IL10, TNF alpha, TGF beta;